A 60-year-old male is on aspirin, ACE inhibitor, nitrates and beta blocker for chronic stable angina. Since the new-year party, he is having long-lasting angina pain every day for past 3 days. ECG was normal and Troponin I levels are normal. Which is the best management of this patient?
1. Admit and start heparin
2. Admit and start thrombolysis
3. Admit and observe for rising of cardiac biomarkers
4. Increase dose of long-acting nitrates and manage as outpatient

Correct answer: 1. Admit and start heparin

Explanation: The patient is a known case of chronic stable angina and has presented with the development of unstable angina since angina episodes have become more pronounced and more frequent. Antithrombotic therapy with heparin, abciximab and intravenous beta blocker is recommended. TIMI score is calculated subsequently to decide the need for revascularization procedure. Thrombolysis is contraindicated in unstable angina.